Chromosomal defect is a feature amongst all of the following except :
1. Inter sex
2. Consealed sex
3. Pseudo hermaphrodite
4. True hermaphrodite

Correct answer: 2. Consealed sex

Explanation: B i.e. Concealed sex - Concealed sex is an attempt to conceal their sex by a change of dress or other methods to avoid detection usually by criminals & dancers. The sex can be determined by physical examination. - Intersex states - conditions in which male & female characters eg. gonads, physical form co exist. It is of 4 types True hermaphroditism External & internal genitalia may be of or Double sex both sex Pseudo- Lack of clear cut differentiation of hermaphroditism external genitalia while internal genitalia is iso-sexual Gonadal agenesis Gonads (testes or ovaries) have never developed Gonadal dysgenesis External sexual structures are present but gonads fail to develop at puberty ex Kline felter's (XXY) & Turner's (XO) Syndrome